All of the following statements about parvovirus B-19 are true, except -
1. <10% spread by transplacental route
2. Respiratory route is the primary mode of transmission
3. It is a DNA virus
4. Affects erythroid progenitors

Correct answer: 1. <10% spread by transplacental route